All are associated with increased risk of Ovarian Hyperstimulation Syndrome, EXCEPT?
1. AMH levels of >3.3 ng/mL
2. Estradiol concentration> 3500 pg/mL
3. Previous history of OHSS
4. Age > 35 yrs

Correct answer: 4. Age > 35 yrs

Explanation: Risk factors for OHSS *Polycystic ovary syndrome *polycystic ovarian morphology with elevated AMH levels (>3.36ng/mL) *previous episodes of OHSS *high E2(estradiol) concentrations *more than 20 preovulatory follicles